Preganglionic parasympathetic fibers are:
1. Somatic only
2. Parasympathetic
3. Sympathetic
4. Cholinergic

Correct answer: 4. Cholinergic